Drug that can cause hyperuricemia is :
1. Pyrazinamide
2. INH
3. Rifampicin
4. None of the above

Correct answer: 1. Pyrazinamide